Conditions predisposing to leukemia include all except -
1. Ionising radiation
2. Myelofibrosis
3. Infectious mononucleosis
4. Polycythemia vera

Correct answer: 3. Infectious mononucleosis